Not true about chi- square test is-
1. Tests the significance of difference between two proportions
2. Tells about presence or absence of an association between two variables
3. Directly measures the strength of association
4. Can be used when more than two groups are two be compared

Correct answer: 3. Directly measures the strength of association

Explanation: Ref: Parks 23rd edition pg 852 Chi-square test offers an alternate method of testing the significance of difference between two proportions. Advantage: it can also be used when more than 2groups are to be compared.